Palatopharyngeal incompetence is treated by?
1. Palatal lift prosthesis
2. Obturator prosthesis
3. Pharyngeal speech prosthesis
4. Pharyngeal bulb prosthesis

Correct answer: 1. Palatal lift prosthesis